Multiple ileal strictures and internal fistulas are features of
1. Intestinal TB
2. Crohn's, disease
3. Ulcerative colitis
4. Diverticulosis

Correct answer: 2. Crohn's, disease

Explanation: Answer-B. Crohn's, diseaseCrohn's disease complicated by multiple strictures and internal fistulas.